Persuasive communication was deliberately employed to manipulate feelings, attitudes and beliefs of people regarding smoking, this method is known as
1. Propaganda
2. Motivation
3. Counseling
4. Advising

Correct answer: 1. Propaganda